Torus aorticus is an impression in the cavity of:
1. Right atrium
2. Left atrium
3. Right ventricle
4. Left ventricle

Correct answer: 1. Right atrium

Explanation: Torus aorticus is a bulge in the right atrial wall anterosuperiorly above the membranous septum. It is superior to the coronary sinus and anterior to the fossa ovalis. It represents the deeper and anterior surface of the posterior sinus and cusp of the aortic valve. Ref: Greys Anatomy, 38th Edition, Page 1480